Which of the following is the commonest location of hypertensive haemorrhage -
1. Pons
2. Thalamus
3. Putamen/external capsule
4. Cerebellum

Correct answer: 3. Putamen/external capsule